IPC 300 deals with -
1. Murder
2. Punishment of murder
3. xAbetment of suicide
4. Attempt of murder

Correct answer: 1. Murder

Explanation: Ans. is 'a' i.e., Murder Indian Penal Codes dealing with offences affecting lifeo 299 IPC : Culpable homicide (not ammounting to murder), i.e., causing death writh the intention of causing death of the person.o 301 IPC: Culpable homicide by causing death of person other than person whose death was intended.o 300 IPC : Murder(defining murder).o 302 IPC : Punishment for murder (death or life imprisonment),o 303 IPC : Punishment of murder of life convict (death).o 304 IPC : Punishment of culpable homicide, not amounting to murder (10 years imprisonment +- fine).o 305 IPC : Abetment of suicide of child or insane person.o 306 IPC : Abetment of suicide.o 307 IPC : Attempt to murder (10 years imprisonment +- fine).o 308 IPC: Attempt to commit culpable homicide (3-7 years imprisonment +- fine).o 309 IPC : Attempt to commit suicide (1 years imprisonment +- fine).